Kupuswamy index includes following Except
1. Income
2. Housing
3. Education
4. Occupation

Correct answer: 2. Housing

Explanation: Kuppuswamy in India prepared a scale based on education, occupation and income which are three major variables contributing to socio-economic status in urban areasPark 23e pg: 691